Not true about herpetic keratitis-
1. Stromal Keratitis
2. Dendritic Ulcer
3. Corneal guttata
4. Disciform Keratitis

Correct answer: 3. Corneal guttata

Explanation: Corneal guttata is seen in Fuchs endothelial corneal dystrophy.The stage of corneal guttata characterized by the presence of Hassall-Henle type of excrescenses in the central part of corneaReference:Comprehensive ophthalmology,AK Khurana,6th edition,page no.130